Perjury i-
1. Willful utterance of falsehood
2. An act comitted within court premises
3. Failure to sign summons
4. Failure to appear as a witness

Correct answer: 1. Willful utterance of falsehood

Explanation: Perjury means giving willful false evidence under oath. Whoever makes any statement in court which is false and which he either knows or believes to be false or does not believe to be true, he may be charged with the crime of Perjury Under Section 193 IPC.